True about Locking compression plate:
1. In osteoporotic patients, it should not be used
2. Usually cause periosteal necrosis.
3. Mechanically superior to a conventional plate
4. Can not be used as compression plate

Correct answer: 3. Mechanically superior to a conventional plate

Explanation: Locking compression plate- Mechanically superior to a conventional plate Indications - pathological bone, osteoporotic bone, metaphyseal area/periarticular fracture, periprosthetic fracture. Does not cause periosteal necrosis. Can be used as compression plate